Anti-thyroid drug of choice for thyroid storm is:-
1. Thiocyanates
2. Propylthiouracil
3. Propanolol
4. Radioactive iodine

Correct answer: 2. Propylthiouracil

Explanation: Thyroid storm is an extreme form of thyrotoxicosis. The drugs used in thyroid storm are: Propanolol to control severe cardiovascular manifestations. It is life saving drug in thyroid storm and is DOC. CCBs like Diltiazem are used, if beta-blockers are C/I (as in asthmatics). Propylthiouracil is used to reduce the synthesis of thyroid hormones. It is anti thyroid DOC for thyroid storm. Hydrocortisone is used to protect the patient against shock.